Which of the following findings is diagnostic of iron deficiency anaemia?
1. Increased TIBC, decreased serum ferritin, Transferrin ferritin index > 2
2. Decreased TIBC, decreased serum ferritin, Transferrin ferritin index <1
3. Increased TIBC, increased serum ferritin, Transferrin ferritin index >1
4. Increased TIBC, decreased serum ferritin, Transferrin ferritin index >1

Correct answer: 1. Increased TIBC, decreased serum ferritin, Transferrin ferritin index > 2

Explanation: Iron deficiency anaemia
TIBC - Increased
Serum ferritin - decreased
Transferrin ferritin index >2